Branches of brachial artery are all except
1. Profunda brachii
2. Superior ulnar collateral
3. Inferior ulnar collateral
4. Radial collateral

Correct answer: 4. Radial collateral

Explanation: Profunda brachial artery arises just below the teres major and accompanies the radial nerve. Superior ulnar collateral arises in the upper part of arm and accompanies ulnar nerve. Inferior ulnar collateral arises in the lower part and takes part in the anastomosis around elbow joint. Radial collateral arises from anterior branch of profunda brachial artery and anastomoses with radial recurrent artery in front of the lateral epicondyle of humerus. B D Chaurasia 7th edition Page no: 95,111